Short stature is defined as a height below:
1. 3rd centile
2. 5th centile
3. 15th centile
4. 25th centile

Correct answer: 1. 3rd centile

Explanation: Ans. A. 3rd centileShort stature is defined as height below 3rd centile or more than 2 standard deviations below the height for age and gender (<-2SD) according to population standard. Short stature can be physiological or pathological.Physiological short stature can be either familial or constitutional. Pathological causes of short stature include undernutrition, chronic systemic illness, malabsorption, endocrine diseases, skeletal dysplasias, genetic syndromes